One of the common fractures that occur during boxing by hitting with a closed fist is :
1. Monteggia fracture dislocation
2. Galeazzi fracture dislocation
3. Bennett's fracture dislocation
4. Smith's fracture

Correct answer: 3. Bennett's fracture dislocation

Explanation: The common mechanism of injury for Benett's fracture is an axial blow directed against the partially flexed metacarpal, in most cases during 'fist fights'.